Which of the following contain(s) an RNA dependent DNA polymerase as a structural component of the virion -
1. Adenoviruses
2. Orthomyxoviruses
3. Rhabodoviruses
4. RNA tumor viruses

Correct answer: 4. RNA tumor viruses

Explanation: Ans. is 'd' i.e., RNA tumor viruses . RNA dependent DNA polymerase (reverse transcriptase) is characteristic of Reteroviridae family. . These are RNA tumor viruses and related agents.